On Contrast.radiography which among thefollowing is false?
1. >Ileum is featureless
2. >Colon has haustrations
3. >Jejunum is feathery
4. Distal part of duodenum has a cap

Correct answer: 4. Distal part of duodenum has a cap

Explanation: Distal part of duodenum has a cap The first part of the duodenum has the duodenal cap or bulb and not the distal part.The first part of the duodenum is visible as a triangular shadow on barium studies and is k/a duodenal cap.The small intestine contains mucosal folds known as plicae circulares or valvulae conniventes that are visible on barium studies and help in the distinction between small intestine and colon. Colon instead can be identified by presence of haustrations.Valvulae conniventes are more prominent in the jejunum giving the 'feathery appearance' on barium. These mucosal folds are gradually reduced distally giving a 'featureless' appearance of distal ileum.